Localized formation of dentin on the pulp-dentin border formed in reaction to caries or restorative procedures is known as
1. Tertiary dentin
2. Secondary dentin
3. Primary dentin
4. Interglobular dentin

Correct answer: 1. Tertiary dentin